Acrylic splints are desirable during the post-operative phase of management in which of the following procedures?
1. Mandibular alveotoplasty
2. Torus palatinus reduction
3. Mental tubercle reduction
4. Excision of Labial epulis fissuratum

Correct answer: 2. Torus palatinus reduction